Treatment for unipolar depression is ?
1. Fluoxetine
2. Sertaline
3. Citaloprom
4. All of the above

Correct answer: 4. All of the above

Explanation: Ans. is 'd' i.e., All of the above All the given drugs are SSRI antidepressants. Antidepressants Typical a. Tricyclic antidepressants NA + 5HT reuptake inhibitors:- Imipramine, Trimipramine, Amitriptyline, Clomipramine. Predominantly NA reuptake inhibitors:- Desipramine, Nortriptyline, Amoxapine, Reboxetine. b. Selective serotonin reuptake inhibitors:- Fluoxetine, Paroxetine, Sertaline, Citalopram, Scitalopram. B. Atypical :- Trazodone, Mianserine, Mitrazapine, Venalafaxin, Duloxetine, Tianeptine, Amineptine, Bupropion. C. MAO inhibitors :- Tranylcypramine, Meclobemide, Clorgyline